Naltrexone is:
1. (mu) agonist
2. 6 (delta) agonist
3. lc (kappa) antagonist
4. NOP receptor antagonist

Correct answer: 3. lc (kappa) antagonist

Explanation: Ans. C i.e. lc antagonist Naltrexone is an opioid receptor antagonist used primarily in the management of alcohol dependence and opioid dependence.